Fine voluntary movements are transmitted by
1. Lateral corticospinal tract
2. Dorsal column
3. Anterior horn
4. Spinothalamic tract

Correct answer: 1. Lateral corticospinal tract

Explanation: (A) Lateral corticospinal tract > The nerve fibers that pass from the motor cortex to the cranial nerve nuclei form the corticobulbar tract. The nerve fibers that cross the midline in the medullary pyramids and form the lateral corticospinal tract make up about 80% of the fibers in the corticospinal pathway.> The remaining 20% make up the anterior or ventral corticospinal tract, which does not cross the midline until it reaches the level of the muscles it controls. At this point, its fibers end on interneurons that make contact with motor nerves on both sides of the body.> The lateral corticospinal tract is concerned with skilled movements, and in humans its fibers end directly on the motor neurons.